6 month old baby with severe pallor and hepatospenomegaly. Similar history with the sibling. Investigation of choice -
1. Bone marrow biopsy
2. Hb electrophoresis
3. Hb estimation
4. Platelet count

Correct answer: 2. Hb electrophoresis

Explanation: Ans. is 'b' i.e., Hb electrophoresis